The following bacteria can invade intact corneal epithelium except:
1. Neissseria gonorrhoea
2. Corynebacterium
3. Meningococci
4. Legionella

Correct answer: 4. Legionella

Explanation: Legionella